Heart failure cells are:-
1. Lipofuscin granules in cardiac cells
2. Pigmented hepatocytes
3. Pigmented alveolar marcophages
4. Pigmented cells in pancreas

Correct answer: 3. Pigmented alveolar marcophages

Explanation: Heart failure cells are seen in lungs. Pathogenesis:- Left ventricular heart failure | Stasis of blood in left side chambers | Blood backing up in pulmonary circulation | Pulmonary edema | Red cells and plasma proteins extravasate into the edema fluid with in alveolar spaces | Phagocytosed and digested by macrophages | Hemosiderin - laden macrophages